Weil felix reaction is heterphile antibodies reaction due sharing of Rickettsial antigen with -
1. Shigella
2. Proteus
3. Chlamydia
4. Mycoplasma

Correct answer: 2. Proteus

Explanation: Ans. is 'b' i.e., Proteus Weil felix reactiono This reaction is an agglutination test in which sera are tested for agglutinins to O antigens of certain nonmotile proteus strains OX -19, OX - 2 and OX - K.o The basis of the test is the sharing of an alkali - stable carbohydrate antigen by some rickettsiae and by certain strains of proteus, P. vulgaris OX - 19 and OX - 2 and P. mirabiiis OX - K.o The test is usually done as a tube agglutination, though rapid slide agglutination methods have been employed for screening.Weil felix ReactionDiseaseOX-19OX-2OX-KRocky Mountain spotted fever++-Rickettsial pox---Epidemic typhus+--Bril - Zinsser disease+/---Scrub typhus--+Endemic typhus+--Trench fever---Q fever---